Primary role of T-Lymphocytes is -
1. Antibody formation
2. Delayed hypersensitivity
3. Complement production
4. All of the above

Correct answer: 2. Delayed hypersensitivity

Explanation: Ans. is 'b' i.e., Delayed hypersensitivity